Which of the following physiological change take place by Bainbridge reflex?
1. Increase in HR
2. Decrease in HR
3. Increase in BP
4. Distension of large somatic veins

Correct answer: 1. Increase in HR

Explanation: Atrial A and B receptors are located at the venoatrial junctions and have distinct functions. Type A receptors react primarily to heart rate but adapt to long-term changes in atrial volume. Type B receptors increase their discharge during atrial distension. C fibers arise from receptors scattered through the atria; these discharge with a low frequency and respond with increased discharge to increase in atrial pressure. The A and B receptors are thought to mediate the increase in heart rate associated with atrial distension (such as can occur with intravenous infusions) known as the Bainbridge reflex. In contrast, activation of atrial C fibers generally produces a vasodepressor effect (bradycardia and peripheral vasodilation). Ref: Hoit B.D., Walsh R.A. (2011). Chapter 5. Normal Physiology of the Cardiovascular System. In V. Fuster, R.A. Walsh, R.A. Harrington (Eds), Hurst's The Heart, 13e.